Initiation of lactation is affected by :
1. Progesterone
2. Prolactin
3. HPL
4. All

Correct answer: 4. All

Explanation: Ans is a, b and c Prolactin; HPL; and Progesterone Lactation can be divided into 3 stages : Stage I : Mammogenesis - Mammary growth and development Hormones responsible : Growth Main hormone Supporting hormones Ductal growth Oestrogen Growth hormone and glucocorticoids Alveolar growth Progesterone Prolactin, prednisolone and other (in the oestrogen primed breast) growth promoting factors Stage ii : Lactogenesis : Initiation of milk secretion Main hormone responsible : Prolactin Although prolactin levels continue to rise as pregnancy advances, placental sex steroids block prolactin induced secretory activity of-the glandular epithelium. Therefore, lactation is not initiated until plasma estrogens progesterone, and human placental lactogen (hPL) level fall after delivery." Supporting hormones : * Estrogens Progestins Human placental Lactogen Stage Galactopoiesis or Maintenance of established milk secretion is mainly by sucklingdeg. Hormones responsible : Prolactindeg * Oxytocindeg Growth hormonedeg * Thyroxine/Parathyroid hormonedeg Cortisoldeg * Insulindeg